Which of the following is not a component of APACHE-II score?
1. Serum potassium
2. Serum sodium
3. Serum calcium
4. Creatinine

Correct answer: 3. Serum calcium

Explanation: APACHE II: Acute Physiology & Chronic Health Evaluation II. The 12 physiologic variables are BT| at CWG SHOP-2 1.Mean arterial blood pressure 5.Creatinine 9.Hematocrit 2.Temperature 6.WBC count 10.Oxygenation 3.Heart rate 7.Glasgow coma scale 11.Arterial pH 4.Respiratory rate 8.Sodium 12.Serum potassium If >=8 parameters are present, suggests Severe Acute pancreatitis,